Which is the most common oral infection in diabetes mellitus?
1. Candida
2. Aspergillus
3. Streptococcus
4. Staphylococcus

Correct answer: 1. Candida

Explanation: Individuals with DM have a greater frequency and severity of infection. It is due to abnormalities in cell-mediated immunity and phagocyte function associated with hyperglycemia, as well as diminished vascularization. Hyperglycemia aids the colonization and growth o f a variety of organisms . Most commonly by Candida and other fungal species.